Which of the following statements is false regarding Familial Mediterranean fever?
1. Form of hereditary amyloidosis
2. Excessive production of TNFa
3. Autosomal recessive
4. Mutation affecting pyrin protein

Correct answer: 2. Excessive production of TNFa

Explanation: Familial Mediterranean Fever (FMF) Most common and best studied form of heredofamilial amyloidosis Autosomal recessive condition Autoinflammatory syndrome associated with excessive production of the cytokine IL-1 in response to inflammatory stimuli Attacks of fever accompanied by inflammation of serosal surfaces, including peritoneum, pleura, and synovial membrane The gene for familial Mediterranean fever encodes a protein called pyrin (for its relation to fever) Disorder encountered largely in individuals of Armenian, Sephardic Jewish, and Arabic origins Sometimes associated with widespread amyloidosis The amyloid fibril proteins are made up of AA proteins, reflecting the increased production of SAA in response to excessive IL-1 secretion